All are true regarding killed polio vaccine except ?
1. Produces circulatory antibody
2. Does not require stringent refrigeration
3. Immunity against paralytic and wild strains
4. Not effective in an epidemic

Correct answer: 3. Immunity against paralytic and wild strains

Explanation: Ans. is 'c' i.e., Immunity against paralytic and wild strains Disadvantages of 1 PV IPV induces humoral immunity (IgM, IgG and IgA in the serum). Circulating antibodies protect the individual against paralytic polio, but do not prevent reinfection of the gut by wild viruses because IPV does not induce local intestinal immunity ---> So, for the individual it gives protection from paralysis and nothing more. For community, it offers nothing because the wild viruses can still multiply in the gut and be a source of infection to others. In epidemics, IPV is unsuitable because :- i) Immunity is not rapidly achieved, as more than one dose is required to induce immunity. ii) Injections are to be avoided during epidemics as they are likely to precipitate paralysis.